Which of the following anti-asthma drug is not indicated by oral route of administration in pregnancy -
1. Salbutamol
2. Prednisolone
3. Theophylline
4. Ipratropium bromide

Correct answer: 4. Ipratropium bromide

Explanation: Ans. is 'd' i.e., Ipratropium bromide o Ipratropium, if used is administered only by inhalation route, not orally.